Which drug has ceiling effect -
1. Morphine
2. Pethidine
3. Fentanyl
4. Buprenorphine

Correct answer: 4. Buprenorphine

Explanation: Ans. is 'd' i.e., Buprenorphine Ceiling effects oRT A particular effect of drug increases with increasing the dose of drug. However, with some opioids (particularly agonist-antagonist) when the ceiling (roof) is reached further increment in dose not result in increase in effect. Ceiling effect is particularly seen on respiratory depression, i.e., higher doses do not produce further respiratory depression.